Which one of the following is a major component in activation of the complement alternative pathway:
1. C1
2. C2
3. C3
4. C4

Correct answer: 3. C3

Explanation: Ans. C: C3